Hot flushes are observed due to deficiency of -
1. Estrogen
2. Progesterone
3. Testosterone
4. Cortisol

Correct answer: 1. Estrogen

Explanation: Ans. is 'a' i.e.. Estrogen o Hot flushes are a symptom of hvpoestrogenism and are the most common post menopausal symptoms.Vasomotor Svmtoms: Hot flushes and night sweats# Hot flushes are the hallmark of menopause.# It is a recurrent transient period of flushing, sweating and a sensation of heat often accompanied by palpitations, anxiety, sometimes followed by chills.The episodes last for I - 3 minutes and recur 5-10 times per day.Most effective treatment is short - term estrogen therapy in minimum possible doses.Progestin therapy is given to those women in whom estrogen therapy is contraindicated.Tibolone or a combination of estrogen and progesterone therapy has also been tried.o Other non FDA approved drugs tried areClonidineFluoxetineVenlafaxineVeraliprideGabapentineBellargalMirtrazapine andTrazodoneo Isoflavone, Soy products and Vitamin E are given as add on therapy.